IFN-β is secreted by
1. Leucocytes
2. Fibroblasts
3. Nk cells
4. Macrophage

Correct answer: 2. Fibroblasts

Explanation: IFN-α - Leucocytes.
IFN-β - Fibroblasts.
IFN-γ -  T4 and Tc cells, Nk cells.